Orthostatic hypotension is said to be present, if systolic blood pressure falls by_____while assuming standing posture from sitting posture.
1. >10 mm Hg
2. >20 mm Hg
3. >30 mm Hg
4. >40 mm Hg

Correct answer: 2. >20 mm Hg

Explanation: Orthostatic hypotension is deﬁned by a fall in systolic pressure > 20 mmHg or in diastolic pressure > 10  mmHg in response to assumption of the upright posture from a supine position within 3 min. There  may also be a lack of a compensatory tachycardia, an abnormal response that suggests autonomic  insuﬃciency, as may be seen in patients with diabetes or Parkinson's disease. Orthostatic hypotension  is a common cause of postural lightheadedness/syncope and should be assessed routinely in patients  for whom this diagnosis might pertain.
Reference: : Harrison’s medicine page no  126